Which of the following are false diverticulae
1. Zenker diverticulum
2. Epiphrenic diverticulum
3. Both of the above
4. None of the above

Correct answer: 3. Both of the above

Explanation: There is only mucosal herniation in both of them.